Knife used for harvesting split thickness skin grafts is
1. Husson's knife
2. Bard parker's knife
3. Humby's knife
4. Foley's knife

Correct answer: 3. Humby's knife